A 30-year-old female complains of lower abdominal pain and purulent vaginal discharge.Her pulse rate =98/minTemp =101degFWBC count and ESR are raisedP/V examination reveals lower abdominal tenderness and cervical motion tenderness. What is the best treatment option for her?
1. Single IM injection of ceftriaxone with oral doxycycline and oral metronidazole for 14 days
2. Single dose of cetotriaxone injection with oral azithromyein for 14 days
3. Oral metronidazole for 14 days
4. Oral ofloxacin and oral metronidazole for 14 days

Correct answer: 1. Single IM injection of ceftriaxone with oral doxycycline and oral metronidazole for 14 days

Explanation: Ans. is a, i.e. single IM injection of ceftriaxone with oral doxycycline and oral metronidazole for 14 daysThis patient has PID. Any sexually active female who complains of lower abdominal pain and has at least 1 minimum criteria of PID-is taken as a case of PID.Minimum criteria1. Lower abdominal tenderness2. Cervical movement tenderness3. Adnexal tendernessIn this patient cervical motion tenderness is present so she is a case of PID.As per 2015 CDC guidelines.Best Treatment for OPD management of PID is:Inj ceftriaxone 250mg IM single dose+Doxycycline 100mg orally twice daily x14 days+/-Metronidazole 500mg orally twice daily x14 daysInstead of ceftriaxone-any 3deg generation cephalosporin like 2g cefoxitin or cefotaxime can also be used.